The complication least likely to occur in a pseudocyst of the pancreas
1. Hemorrhage
2. Rupture
3. Infection
4. Carcinomatous change

Correct answer: 4. Carcinomatous change

Explanation: Pseudocyst complications Infection (MC) :14% Pain due to expansion Hemorrhage upto 10% Duodenal obstruction Rupture Abscess Ref: Shackelford 7th edition Pgno :1159